Disease where distal interphalangeal joint is characteristically involved -
1. Psoriatic arthritis
2. Rheumatoid
3. SLE
4. Gout

Correct answer: 1. Psoriatic arthritis